Zona hatching occurs:
1. 4 days after fertilisation
2. 5 days after fertilisation
3. 6 days after fertilisation
4. 8 days after fertilisation

Correct answer: 2. 5 days after fertilisation

Explanation: Zona hatching occurs just before the implantation i.e,5 days after fertilisation. Ref: Datta textbook of Obstetrics - 9e pg24.